A young boy, Rahul presents with massive hemetemesis. He had fever for 15 days few days back which was treated. Clinical examination reveal moderate splenomegaly No other history is positive Probable diagnosis is -
1. Drug induced gastritis
2. Oesophageal tear
3. Bleeding duodenal ulcer
4. Oesophageal varices

Correct answer: 4. Oesophageal varices